Mechanism of action of tamoxifen is:
1. Has androgenic receptor blocking action
2. Inhibits enzyme 5α-reductase
3. Has partial agonist and antagonist action on estrogen receptors
4. Inhibition of FSH and LH release from the pituitary

Correct answer: 3. Has partial agonist and antagonist action on estrogen receptors